Keratoderma blennorrhagicum is seen in
1. Reiter's syndrome
2. Disseminated gonococcal infection
3. Psoriasis
4. Syphilis

Correct answer: 1. Reiter's syndrome

Explanation: keratoderma blemorrhagicum-hyper keratotic pustular lesions on erythematous base involving palms and soles.crusted thick horny lesions with thick scales. Lesions are seen in reiters disease. Iadvl textbook of dermatology page 1848